Most common site of medulloblastoma is
1. Medulla
2. Cerebellum
3. Cerebrum
4. Pineal gland

Correct answer: 2. Cerebellum

Explanation: Medulloblastoma is a cancerous tumor--also called cerebellar primitive neuroectodermal tumor (PNET)--that starts in the region of the brain at the base of the skull, called the posterior fossa. These tumors tend to spread to other parts of the brain and to the spinal cord. Refer Robbins page no 1312